A child with fever had multiple skin lesions, and on microscopic examination the skin lesions are seen to have neutrophilic and histiocytic infiltration in the dermis. What is the diagnosis?
1. Sweet syndrome
2. Behchet's syndrome
3. Pyoderma gangrenosum
4. Juvenile dermatosis

Correct answer: 1. Sweet syndrome

Explanation: Sweet syndrome (Acute febrile neutrophilic dermatosis) Skin manifestations: Tender red papules, nodules and eventually plaques distributed over the head, neck, upper trunk and upper arms. Diagnostic criteria for Sweet syndrome Major Acute onset of typical lesions Histopathological findings : Neutrophilic and histiocytic infiltration in the dermis. Minor Fever >38degC Association with malignancy, inflammatory disorder or pregnancy, or antecedent URTI or GI infectionExcellent response to systemic corticosteroids. Abnormal laboratory values at presentation (3/4 required: ESR >20 mm; leukocytes >8000; neutrophils>70%;elevated C-reactive protein) DOC: Oral Corticosteroids.